Halos due to conjunctiva can be eliminated by
1. Slit
2. Irrigation
3. Syringing
4. Any of the above

Correct answer: 2. Irrigation

Explanation: Irrigation of the cul de sac can reduce the halos in conjunctivitis Halos due to immature senile cataract are broken by slit (Fincham test) Halos due to corneal edema in glaucoma is reduced by decrease in IOP